"Dissociate anaesthesia" is seen with?
1. Propofol
2. Ketamine
3. Thiopental
4. Halothane

Correct answer: 2. Ketamine

Explanation: Ans. b (Ketamine). (Ref: KD Tripathi, Pharmacology 4th, ed., 353)KETAMINE# -Sensitizes heart to effects of adrenaline# -Increases IOT and ICT and intrauterine pressure# -No muscle relaxation, analgesia +++# -Bronchodilator# -Has antiepileptic action# -May cause delirium tremens# -Induces so-called 'dissociative anaesthesia'<MH2005># -Profound analgesia, immobility, amnesia, with light sleep and feeling of dissociation from ones own body and the surroundings.# -Heart rate, cardiac output and BP are elevated due to sympathetic stimulation.# -It has been recommended in head and neck, patients who have bleed, asthmatics and for short operations.# -It is good for repeated use; burn dressing, angiographies, cardiac catheterization and trauma surgery.# -Dangerous for hypertensives and in ischaemic.# -Drug of choice in paediatric, bum, porphyria patients and useful in elderly.